Anaesthesia of choice for induction in children is:
1. Procaine
2. Desflurane
3. Sevoflurane
4. Ropivacaine

Correct answer: 3. Sevoflurane

Explanation: Sevoflurane